Which of the following is an important tumour marker in the diagnosis of endodermal sinus tumour:
1. HCG
2. Ca-125
3. LDH
4. Alpha FetoProtein

Correct answer: 4. Alpha FetoProtein

Explanation: Ans. D: Alpha Feto Protein Endodermal sinus (yolk sac) tumour is thought to originate from a multiple potential embryonal tissue as a result of selective differentiation of yolk sac structures. This explains why the tumour is rich in alpha-fetoprotein and alphal antitrypsin